All of the following signs are not seen in acute appendicitis except -
1. Rovsing' s
2. Murphy's sign
3. Boa's sign
4. Mack wen's sign

Correct answer: 1. Rovsing' s